Which of the following is an obstetrical complication of twin pregnancy?
1. Hydramnios
2. Pregnancy induced hypertension
3. Malpresentation
4. All of the above

Correct answer: 4. All of the above

Explanation: Obstetric complications associated with twin pregnancy are polyhydramnios, pregnancy-induced hypertension, premature rupture of membranes, abnormal fetal presentations, and prolapse of the umbilical cord. Other complications of multiple births are IUGR and preterm delivery. Features of Monochorial twins: They are always monozygous and same sex. Can be diamniotic or monoamniotic. They are risk for twin twin transfusion, congenital anomalies, neurodevelopmental problems, and cerebral palsy. Features of Dichorial twins They can be either dizygous or monozygous. Can have growth restriction due to abnormal placental implantation. They are not at risk for twin transfusion syndrome and have less risk for anomalies and neurodevelopmental problems than monochorial twins. Ref: Thilo E.H., Rosenberg A.A. (2012). Chapter 2. The Newborn Infant.